A 20 year - old male has features of acute renal failure. Blood examination shows thrombocytopenia and Hb-10 gm%. Likely cause is -
1. Haemolytic uremic syndrome
2. Hereditary spherocytosis
3. Haemolytic crises
4. Chronic glomerulonephritis

Correct answer: 1. Haemolytic uremic syndrome